Which is the following structure passes through the lateral part of superior orbital fissure
1. Superior ophthalmic vein
2. Inferior ophthalmic vein
3. Abducent nerve
4. Nasociliary nerve

Correct answer: 1. Superior ophthalmic vein

Explanation: Superior ophthalmic vein is a tributary of cavernous sinus Passes through lateral part of SOF which is outside the ring of Zinn through which cranial nerves passes Nasociliary nerve passes within the ring of Zinn. Inferior ophthalmic vein passes more medially to superior ophthalmic vein.